The shortest part of the colon is-
1. Transverse colon
2. Ascending colon
3. Descending colon
4. Sigmoid colon

Correct answer: 2. Ascending colon

Explanation: Among given options, ascending colon is shortest.